Bestiality is :
1. Having intercourse with an animal
2. Cruelty to animals
3. Cruelty to fellow human
4. Beast like behaviour of an Insane

Correct answer: 1. Having intercourse with an animal

Explanation: A i.e. Intercourse with an animal